Ventricle of Morgagni is situated in:
1. Larynx between true and false cords
2. Between base of skull and upper border of superior constrictor
3. Nasopharynx representing epithelial diverticulum which forms anterior lobe of pituitary
4. Nose above the vestibule and anterior to middle turbinate

Correct answer: 1. Larynx between true and false cords

Explanation: Ventricle of Morgagni, commonly called the ventricle of larynx, is situated between the false and true vocal cords.The defect between base of skull and upper border of superior constrictor which is covered by buccopharyngeal fascia and pierced by eustachian tube is called sinus of Morgagni.The diverticulum of nasopharyngeal mucosa which gives rise to anterior lobe of pituitary is called Rathke's pouch. It may persist as craniopharyngeal canal.